A female presented with frothy, greenish vaginal discharge with a musty smell. On examination 'strawberry vagina' was noted. A diagnosis of trichomonas vaginalis was made. Drug of choice is:
1. Metronidazole
2. Tetracycline
3. Erythromycin
4. Fluconazole

Correct answer: 1. Metronidazole

Explanation: Ans. (A) Metronidazole(Ref: CMDT 2017/e p1531)The diagnosis is trichomonas vaginitis. The drug of choice is metronidazole or tinidazole